In CHPS which of the following is seen
1. Non-bilious vomiting
2. Metabolic alkalosis
3. Aciduria
4. All of the above

Correct answer: 4. All of the above

Explanation: In CHPS, non-bilious vomiting, metabolic alkalosis and aciduria is seen. The morphological features are due to hypertrophy and hyperplasia of the circular muscle with some contribution by the longitudinal muscle. The hypertrophied muscle lengthens and narrows the pyloric channel. Radiographically, there is the lengthening of the pyloric channel with smooth symmetrical narrowing. The hypertrophied muscle bulges retrogradely into the antrum, creating a 'shoulder'. In infants, HPS ultrasound is the technique of choice in the diagnosis of HPS.